The stain used for demonstrating Auer rods in blasts is -
1. Periodic Acid Schiff(PAS
2. Myeloperoxidase
3. Leucocyte alkaline phosphatase
4. Non-specific esterase

Correct answer: 2. Myeloperoxidase

Explanation: The cytochemical stain, Myeloperoxidase is positive in immature myeloid cells containing granules and Auer rods Reference textbook of Pathology 7th edition author Harsha Mohan page number 342